Diagnosis of Asherman syndrome is done by all except:-
1. Endometrial culture
2. Hysteroscopy
3. Hysterosalpingography
4. Sonosalpingography

Correct answer: 1. Endometrial culture

Explanation: Asherman Syndrome Adhesions in the endometrium can occur due to Scarring of the endometrium as a result of surgery, Destruction of the Endometrium usually follows Vigorous curettage for postpartum hemorrahage Therapeutic abortion complicated by infection Overzealous fractional curettage for gynecological diagnosis. Diagnosis is confirmed by Hysterosalpingography or By direct visual examination of the endometrial scarring or synechiae using a Hysteroscope. Sonosalpingography - In case of Infertility for Uterine factors Definitive diagnosis - Hysteroscopy